The other name for Gardner's view is:
1. Bregma menton view
2. Two molar view
3. Lateral oblique view of mandible
4. Lower oblique occlusal

Correct answer: 2. Two molar view

Explanation: Bimolar technique or Gardner's view shows the lateral oblique view of the right and left halves of the jaw in the same radiograph. The 1st exposure is done of one side (right/left), while covering the other half of the cassette with a lead shield with the conventional technique for the lateral oblique view of the mandible. The second exposure is done with the conventional method of the second side (right/left), while covering the previously exposed side with the lead shield.